The gingival finish Line on a tipped molar should be
1. Shoulder
2. Chamfer
3. Knife edge
4. Feather edge

Correct answer: 3. Knife edge